Which diuretic could be considered appropriate for combining with ACE inhibitors -
1. Spironolactone
2. Eplerenone
3. Hydrochlorothiazide
4. Amiloride

Correct answer: 3. Hydrochlorothiazide

Explanation: Ans. is 'c' i.e., Hydrochlorothiazide ACE inhibitor and diuretics o ACE inhibitors cause hyperkalemia, therefore they can be combined with furosemide or thiazide diuretics which cause hypokalemia and nullify the hyperkalemic effect of ACE inhibitors. o On the other hand potassium sparing diuretics (spironolactone, eplerenone, ami 1 oridc, triamterene) are contraindicated as they cause hyperkalemia and aggrevate the hyperkalemia caused by ACE inhibitors.